Inhalational agent of choice for induction in children is
1. Desflurane
2. Sevoflurane
3. Isoflurane
4. Halothane

Correct answer: 2. Sevoflurane

Explanation: Desflurane has the lowest blood partition co-efficient and hence it is the fastest inducing agent. But it can lead to coughing & bronchospasm on inhalation.
Therefore Sevoflurane is the inhalational agent of choice for induction in children.